Hepatitis C vims is a -
1. Togavirus
2. Flavivirus
3. Filovirus
4. Retrovirus

Correct answer: 2. Flavivirus

Explanation: Ans. is 'b' i.e., Flavivirus HEPATITIS VI RISKSo Several diseases of liver collectively known as hepatitis, are caused by viruses.o The viruses involved, five of which have been reasonably well characterized, come from a wide range of virus families.VirusFamily1) Hepatitis AEnterovirus (Picornavirus), non- enveloped RNA virus2) Hepatitis BHepadana virus, DNA virus3) Hepatitis CFlavivirus, enveloped RNA virus4) Hepatitis DDefective RNA virus resembling viroids5) Hepatitis ECalcivirus, non-enveloped RNA virus